E.B. virus causes all EXCEPT :
1. Infectious mononucleosis
2. Nasopharyngeal Carcinoma
3. Burkitt's Lymphoma
4. Carcinoma cervix

Correct answer: 4. Carcinoma cervix

Explanation: Ans. is 'd' i.e. Carcinoma Cervix * Clinical features of E. B. Virus infection :Most primary infection in children are Asymptomatic.It usually causes disease in adolescents and young adults.Infectious mononucleosis*Burkitt's lymphoma*Nasopharyngeal carcinoma*Lymphoproliferative diseases in immunodeficients host.Lymphomasdiffuse polyclonal lymphomasLymphocytic interstitial pneumonitisHairy oral leukoplakia of tongue